The parvocellular pathway from lateral geniculate nucleus to visual cortex is most sensitive for the stimulus of
1. Color contrast
2. Luminance contrast
3. Temporal frequency
4. Saccadic eye movements

Correct answer: 1. Color contrast

Explanation: From the lateral geniculate nucleus, a magnocellular pathway and a parvocellular pathway project to the visual cortex. The parvocellular pathway, from layers 3-6, carries signals for color vision, texture, shape, and fine detail. The parvocellular pathway also carries color opponent data to the deep part of layer 4.Ref: Ganong's Review of Medical Physiology, Twenty-Third Edition